Depot preparation are available for:
1. Haloperidol
2. Risperidone
3. Olanzapine
4. All of the above

Correct answer: 4. All of the above

Explanation: Depot preparation are available for: haloperidol flupenthixol Fluphenazine Paliperidone Risperidone olanzapine aripiprazole